60 yrs old, air in biliary tree, colicky abdominal pain hyper-peristaltic abdominal sounds diagnosis -
1. Gall stone ileus
2. Hemobilia
3. Cholangitis
4. Pneumobilia

Correct answer: 1. Gall stone ileus

Explanation: Answer- A. Gall stone ileusPresence in air in biliary tract along with sign of intestinal obstruction is characteristic of gall stone ileus.